Pretectal area is responsible for?
1. Light reflex
2. Auditory reflex
3. Stapedial reflex
4. Doll's eye movements

Correct answer: 1. Light reflex

Explanation: Pretectal area is the synaptic site for ocular motility and control of visual reflexes. Pretectal area extend from front of upper border of superior colliculus to the posterior commissure. Light reflex (pupillary) pathway: Afferent pathway of the reflex is through the optic nerve and efferent pathway is through occulomotor nerve. Afferents from the retinal ganglion cells run in the optic nerve and partially decussate to enter the optic tract. The fibers pass through LGB uninterrupted and enter the superior colliculus to relay in the pretectal nucleus. Fibers originating in the pretectal nucleus partly decussate in the midbrain and enter the Edinger Westphal nucleus on both the sides. Parasympathetic fibers originating in the EW nucleus leave the midbrain through the third cranial nerve and relay in the ciliary ganglion. Postganglionic parasympathetic fibers leave the ciliary ganglion through short ciliary nerves to innervate pupillary sphincter.